In which of the following conditions do the ovaries function normal :
1. Turner's syndrome
2. Rokitansky-Kuster-Hauser syndrome
3. Androgen insensitivity syndrome
4. swyer's syndrome

Correct answer: 2. Rokitansky-Kuster-Hauser syndrome

Explanation: MRKH syndrome Simple mullerian agenesis karyotype of 44 XX Normal secondary sexual characters Functional ovaries Reveal a normal hormonal profile SHAW'S TEXTBOOK OF GYNAECOLOGY, Pg no:286,15th edition